All of the following are the types of endemic Osteoarthritis except :
1. Kashin-Beck's disease
2. Mseleni joint disease
3. Handigodu joint disease
4. Mueller-Weiss disease

Correct answer: 4. Mueller-Weiss disease

Explanation: Mueller-Weiss disease is not a type of endemic osteoarthritis Endemic osteoarthritis Kashin-Beck's disease -Endemic to China Mseleni joint disease -Endemic to South Africa Handigodu joint disease -Endemic to Malnad region of Karnataka Mueller-Weiss disease (Brailsforddisease)-spontaneous adult onset osteonecrosis of the navicular bone